At 24 Weeks the fundus height reaches to :-
1. At level of umbilicus
2. Midway between symphysis pubis to umbilicus
3. Midway between umbilicus to xiphi sternum
4. At Xiphi sternum

Correct answer: 1. At level of umbilicus

Explanation: Pubic symphysis - 12 week Umbilicus - 24 weeks Xiphoid process - 36 weeks 1-2 finger width below costal arch - 40 weeks Please note that these are rough estimates of fundal height and their correlation with the gestational age> These can vary significantly if the patient is very thin or very obese.